Hereditary spherocytosis is characterised by ?
1. Membrane skeleton abnormalities
2. Microtubule defect
3. Accumulation of intermediate filament
4. None of the above

Correct answer: 1. Membrane skeleton abnormalities

Explanation: Ans. is 'a' i.e., Membrane skeleton abnormalities